Maximum uterine relaxation
1. Ether
2. N20
3. Halothane
4. Chloroform

Correct answer: 3. Halothane

Explanation: C i.e. Halothane